The hypersensitivity reaction involved in the hyper acute rejection of renal transplant is -
1. Type I
2. Type II
3. Type III
4. Type IV

Correct answer: 2. Type II

Explanation: Type II hypersensitivity reaction is initiated by IgG or rarely IgM antibodies that react either with cell surface or tissue antigen. Cell or tissue damage occurs in the presence of complement or mononuclear cells. Hyperacute rejection reaction against an organ transplant is example of type II hypersensitivity reaction in which cytotoxic antibodies are formed against donor antigen. Reference : Harsh mohan text book of pathology, 7th edition, pg no: 60